All of the following are radiological features of tuberculosis of spine except:
1. Large paravertebral abscess
2. Marked osteoblastic response
3. Marked collapse of vertebra
4. Deceased joint space

Correct answer: 2. Marked osteoblastic response

Explanation: Ans. Marked osteoblastic response